First cell in RBC development is
1. Proerythroblast
2. Intermediate normoblast
3. Reticulocyte
4. Basophilic erythroblast

Correct answer: 1. Proerythroblast